Asbestosis of the lung is associated with all of the following except:
1. Mesothelioma
2. Progression of lesion even after stopping exposure to asbestosis
3. Nodular lesions involving upper lobe
4. Asbestosis bodies in sputum

Correct answer: 3. Nodular lesions involving upper lobe

Explanation: In asbestosis there is presence of lesions affecting lower lobes or base of the lungs. Nodular lesions involving upper lobes is a feauture of silicosis. The lesions continue to progress even after exposure to asbestos has stopped.(ref Robbins 7th/734-736,8th/700)